Ringer lactate contains all except ?
1. Chloride
2. Sodium
3. Bicarbonate
4. Potassium

Correct answer: 3. Bicarbonate

Explanation: Ans. is 'c' i.e., Bicarbonate One litre of Ringers Lactate solution contains : 130 mEq of sodium ion = 130 mmol/L 109 mEq of chloride ion = 109 mmol/L 28 mEq of lactate = 28 mmol/L 4 mEq of potassium ion = 4 mmol/L 3 mEq of calcium ion = 1.5 mmol/L